Causes of neuroregression in a child can be all except ?
1. Wilson's disease
2. Vitamin B12 deficiency
3. ADHD
4. Ataxia telengiectasia

Correct answer: 3. ADHD

Explanation: Ans. C. ADHDCauses of neuroregressionInheritedA. GreY matter involvement-With visceromegaly :- Niemann pick disease, Sandholf disease (GM2), sialidosis, Goucherdisease, Mucopolyschharidoses (MPS)Without visceromegaly :- TaySach Disease, Rett syndrome, Menke's kinky hair diseaseB. White matter involvement:-Leukodystrophies :- Metachromatic leukodystrophy, Krebbe's disease, Adrenoleukodytrophy, Alexander disease, Cannavan disease .Acquired/Demyelinating:-Multiplesclerosis,schilder'sdisease,DevicdiseaseC. Basal ganglia involvement - Wilson's disease, Dystonia muscular deformans, Huntington's diseaseD. Spinocerebeller :- Friedrich's ataxia, Ataxia telengiectasisE. AcquiredInfections:- SSPE, progressive rubella syndrome, HIVMetabolic:Chronicleadpoisoning,Hypothyoidism,VitB12&Edeficienry,Drugs(anticonvulsants).